Low birth weight is defined as -
1. Weight < 2.5 kg
2. Weight < 2.0 kg
3. Weight < 1.5 kg
4. Weight < 10 percentile for their gastational age

Correct answer: 1. Weight < 2.5 kg

Explanation: Ans. is 'a' i.e., Weight < 2.5 kg